In surgical procedures NOTES, entry point is through:-
1. Abdomen
2. Umbilicus
3. Mouth
4. Axilla

Correct answer: 3. Mouth

Explanation: Natural orifices transluminal endoscopic surgery Peritoneal cavity is entered endoscopic ally, a natural orifice and the surgery is carried out using specialized endoscopic technology and techniques. Additional procedure performed with notes: staging of intra-abdominal malignancy, segmental colectomy, gastrojejunostomy.